A 5-year old boy while having dinner suddenly becomes aphonic and is brought to the casualty with the complaint of respiratory distress. Immediate management should be:
1. Cricothyroidotomy
2. Emergency tracheostomy
3. Humidified oxygen
4. Heimlich maneuver

Correct answer: 4. Heimlich maneuver

Explanation: Ans. Heimlich maneuver